Which of the following is the best for measuring total body water:
1. Evan's blue
2. I131
3. Tritium oxide
4. P 32

Correct answer: 3. Tritium oxide

Explanation: Ans. C. Tritium oxideRadioactive water (TRITIUM) or heavy water (deuterium) can be used to measure total body water. Tritium is also used as a tracer in chemical and biochemical research.